Placenta in which vessels seperate before reaching margin is?
1. Battledoor placenta
2. Velamentous placenta
3. Circumvallate placenta
4. Placenta marginata

Correct answer: 2. Velamentous placenta

Explanation: Velamentous placenta REF: Dutta 6th ed p. 219 The branching vessels traverse a certain distance in the membrane before they separate to supply it is seen in velamentous placenta Battledoor placenta: the cord is attached to the margin.